Which of the following is the most common feature of Aortitis on chest x-ray?
1. Calcification of ascending aorta
2. Calcification of descending aorta
3. Calcification of pulmonary artery
4. Focal oligemia

Correct answer: 1. Calcification of ascending aorta

Explanation: The ascending aorta is the most common site for calcification in aortitis. Calcification in the ascending aorta is most characteristic of syphilitic aortitis. Ref: Harrison's Principle of Internal Medicine, 16th Edition, Page 1485; Textbook of Radiology and Imaging By David Sutton, 7th Edition, Pages 312-14